Which of the following statements concerning the wires used in tooth movement is most accurate?
1. The Larger the diameter of the wire, the greater the force and the faster the movement of the tooth
2. The longer the wire, the greater the force and the faster the movement of the tooth
3. The more rectangular the shape of the wire, the greater the force and the faster the movement of the tooth
4. The Longer the wire, the more gentle the force and the faster the movement of the tooth

Correct answer: 4. The Longer the wire, the more gentle the force and the faster the movement of the tooth